Inverse glaucoma is seen with this condition.
1. Instillation of Miotics
2. Instillation of Steroids
3. Instillation of Mydriatics
4. All of the above

Correct answer: 1. Instillation of Miotics

Explanation: Ans. (a) Instillation of Miotics Inverse glaucoma is the acute rise in IOP after instillation of miotics. Instillation of miotics will increase the chances of lens-iris contact and will produce a pupillary block. Mydriatics are given to relieve this pupil block.